Which of the following represent Fetal Haemoglobin (HBF)
1. Alpha 2 Beta2
2. Alpha 2 Gamma 2
3. Alpha 2 delta 2
4. Delta 4

Correct answer: 2. Alpha 2 Gamma 2

Explanation: Answer- B. Alpha 2 Gamma 2Alpha 2 Gamma 2- < 2% of Total adult HB